Dapsone is used in the treatment of :
1. Malaria
2. Dermatitis herpetiformis
3. TB
4. Kala–azar

Correct answer: 2. Dermatitis herpetiformis